A 18 year old boy comes to medical emergency with symptoms of diarrhea, rhinorrhea, sweating and lacrimation. What is the most probable diagnosis?
1. Cocaine withdrawal
2. Heroin withdrawal
3. Alcohol withdrawal
4. LSD withdrawal

Correct answer: 2. Heroin withdrawal

Explanation: Withdrawal symptoms of opioids The short term use of opioids decreases the activity of noradrenergic neurons but long term use results in compensatory hyperactivity. So when opioids are suddenly stopped, there are symptoms of noradrenergic activity Withdrawal symptoms usually appear around 6-8 hours of last use, peak in 2-3 days and then subside by next 7 to 10 days. Resolve with in 7-10days Flu like syndrome appear (water everywhere) Lacrimation Rhinorrhea Sweating Diarrhea Classical symptoms Yawning Piloerection Insomnia * Nausea Pupillary dilatation Heroin is most commonly used opioids